Patient with fixed dilated pupil, with iris atrophy and secondary glaucoma after penetrating keratoplasty is suggestive of.
1. Benedict's syndrome
2. Posner-Shlossman syndrome
3. Kaufmann's syndrome
4. Urrets Zavalia syndrome

Correct answer: 4. Urrets Zavalia syndrome

Explanation: Ans. d. Urrets Zavalia syndrome A fixed dilated pupil following penetrating keratoplasty is a well recognized if rare postoperative complication. The mydriasis following penetrating keratoplasty was first described by Castroviejo but it was Urrets-Zavalia who first published his observations on a series of six cases and suggested an association of fixed dilated pupil, iris atrophy. and secondary glaucoma. The pupil can become abnormally dilated following penetrating keratoplasty for keratoconus, particularly if dilating drops are used. In addition to the pupil and iris abnormalities, Urrets-Zavalia also described other features__ iris ectropion, pigment dispersion, anterior subcapsular cataract and posterior synechiae. Urrets Zavalia Syndrome Urrets Zavalia Syndrome is characterized by triad of: Secondary glaucoma + Iris atrophy + Fixed dilated pupil') Urrets-Zavalia syndrome (UZS) consists of a fixed dilated pupil associated with iris atrophy. It is a poorly understood complication following penetrating keratoplasty for keratoconus. Posner Shlossman syndrome It is also called as glaucomatocyclitic crisis. Episodic unilateral mild anterior uveitis, photophobia, reduced vision and colored rings around lights (from secondary corneal edema Benedict's Syndrome If red nucleus is involved, tremors and jerky movements occur in contralateral side of the body. This condition combined with ipsilateral 3rd nerve paralysis is called as Benedict's syndrome. McKusick-Kaufmann Syndrome McKusick-Kaufman syndrome: A rare genetic disorder characterized by hydrometrocolpos (fluid buildup in vagina and uterus), extra fingers and congenital heart defects